MC optic nerve tumor in children causing blindness:
1. Glioma
2. Meningioma
3. Craniopharyngioma
4. Astrocytoma

Correct answer: 1. Glioma

Explanation: a. Glioma(Ref: Nelson's 20/e p 3059, Ghai 8/e 612-613)High Yield Points about Optic GliomaOptic nerve glioma is the most frequent tumor of optic nerve in childhood; it is a benign hamartoma;Principal clinical manifestations are unilateral loss of vision, proptosis, deviation of the eye & optic atrophy